The Cerebellar cortex contains all of the following cells except
1. Basket cells
2. Stellate cells
3. Purkinje cells
4. Pyramidal cells

Correct answer: 4. Pyramidal cells

Explanation: Pyramidal cells are seen in cerebral cortex